Hypokalaemia is a feature of all except?
1. Barter syndrome
2. Gitelman syndrome
3. Gordon syndrome
4. R..T.A. Type 1

Correct answer: 3. Gordon syndrome

Explanation: BaterSyndrome : Genetic defect in the thick ascending limb of the Loop of Henle Defects in Na-K-2Cl co-transporter, result in lack of concentrating ability. Associated with hypokalemia Gitelman Syndrome: Genetic defect in the distal tubule. GS is an inheritable renal disorder characterized byhypomagnesemia, hypokalemia,and hypocalciurialinked to the gene encoding the thiazide-sensitive Na- Cl-cotranspoer located on chromosome 16q R.T.A Type 1: Associated with hypokalemia